The specific topical remedy suggested for angular cojunctivitis is
1. Dexamethasone
2. Sulphacetamide
3. Zinc sulphate
4. Penicillin

Correct answer: 3. Zinc sulphate

Explanation: C i.e. Zinc sulphate